A person is able to sense pain and temperature normally. Which of the following type of nerve fiber is involved in carrying pain and temperature?
1. A alpha
2. A beta
3. A gamma
4. A delta

Correct answer: 4. A delta

Explanation: A delta nerve fiber is involved in transmitting pain and temperature in the body. It's conduction velocity is 12-30 m/s. A alpha fiber is involved in carrying proprioception and somato motor sensation. It's conduction velocity is 70-120 m/s. A beta fiber is involved in carrying touch and pressure sensation. It's conduction velocity is 30- 70m/s. A gamma acts as motor to the muscle spindle. It's conduction velocity is 15 - 30m/s. Ref: Barrett K.E., Barman S.M., Boitano S., Brooks H.L. (2012). Chapter 4. Excitable Tissue: Nerve. In K.E. Barrett, S.M. Barman, S. Boitano, H.L. Brooks (Eds), Ganong's Review of Medical Physiology, 24e